Which of the following test is done to detect the presence of urobilinogen?
1. Guthrie test
2. Fouchet's test
3. Ehrlich's test
4. Alcian blue spot test

Correct answer: 3. Ehrlich's test

Explanation: Ehrlich's aldehyde test: Ehlich's aldehyde reagent consists of para dimethyl amino benzaldehyde in acid solution. Equal volumes of urine and Ehrlich's reagent are mixed. Formation of pink colour indicates the presence of urobilinogen. Other Options:- Test Detects Guthrie test Screening of phenylketonuria Fouchet's test bile pigments (Bilirubin) in urine Alcian blue spot test mucopolysaccharides in urine Additional information: Watson-Schwaz testis a qualitative screening test for the detection and differentiation of urobilinogen and porphobilinogen. Step 1: Urine + Ehrlich reagent + Sodium acetate - Pink or red colour - Positive test - Urobilinogen or Porphobilinogen present. Step 2:Above test solution + Chloroform Step 3:Pink/Red layer + Butanol Note:If the pink color develops in the first step, then continue further. In the second step, if the colour develops in the aqueous layer, then proceed with the addition of butanol.